The most - pungent inhalational agent-
1. Halothane
2. Isoflurane
3. Enflurane
4. Desflurane

Correct answer: 4. Desflurane

Explanation: Desflurane is the most pungent of the volatile anesthetics, and it administered the face mask results in Coughing, salivation, breath holding and laryngospasm. Isoflurane and desflurane can provide equal bronchodilation but are not normally used for inhalation induction. Desflurane is not used because of its pungency which may result in a cough, laryngospasm, and bronchospasm.